A 60-year-old female complains of dry mouth and a gritty sensation in her eyes. She states it is sometimes difficult to speak for more than a few minutes. There is no history of diabetes mellitus or neurologic disease. The patient is on no medications. On exam, the buccal mucosa appears dry and the salivary glands are enlarged bilaterally. The next step in evaluation is:
1. Lip biopsy
2. Schirmer test and measurement of autoantibodies
3. IgG antibody to mumps virus
4. Use of corticosteroids

Correct answer: 2. Schirmer test and measurement of autoantibodies

Explanation: Ans. B. Schirmer test and measurement of autoantibodiesSchirmer Testa. The complaints described are characteristic of Sjogren syndrome, with presenting symptoms of dry eyes and dry mouth.b. In this there is destruction of lacrimal and salivary glands.c. Dry eyes can be measured objectively by the Schirmer test, which measures the amount of wetness of a piece of filter paper when exposed to the lower eyelid for 5 minutes.